Lisch nodule seen in ?
1. Sympathetic ophthalmitis
2. Neurofibromatosis
3. Chronic iridocyclitis
4. Trachoma

Correct answer: 2. Neurofibromatosis

Explanation: Ans. is 'b' i.e., Neurofibromatosis Lisch nodules are the most common type of ocular involvement in NF-1. These nodules are melanocytic hamartomas, usually clear yellow to brown, that appear as well-defined, dome-shaped elevations projecting from the surface of the iris.